'Figure of 8' appearance is seen in:
1. TAPVC
2. Partial TAPVC
3. Abnormal origin of aorta
4. Tetralogy of fallot

Correct answer: 1. TAPVC

Explanation: Ans. TAPVC